Which of the following antiretroviral drugs does not cause peripheral neuropathy?
1. Lamivudine
2. Stavudine
3. Didanosine
4. Zalcitabine

Correct answer: 1. Lamivudine